Forced Alkaline diuresis is useful in the poisoning of
1. Lead
2. Barbiturates
3. Morphine
4. Iron

Correct answer: 2. Barbiturates

Explanation: Barbiturates Forced alkaline diuresis increses the excreation of some drugs in urine and is used in treatment of drug overdose or treatment of poisioning by these drugs.Sodium bicarbonate is used.Other drugs where it is used as treatment are salicylates,cocaine,amphetamine. Ref: K.D.Tripati.7th Ed., Pg: 29